Increased CVP and PWP is seen in which shock
1. Cardiogenic
2. Neurogenic
3. Hypovolemic
4. Septic

Correct answer: 1. Cardiogenic

Explanation: Cardiogenic shock (CS) is characterized by systemic hypoperfusion due to severe depression of the cardiac index and sustained systolic arterial hypotension (<90 mmHg) despite an elevated filling pressure . It is associated with in-hospital mortality rates >50%. .Circulatory failure based on cardiac dysfunction may be caused by primary myocardial failure, most commonly secondary to acute myocardial infarction (MI) , and less frequently by cardiomyopathy or myocarditis , cardiac tamponade , or critical valvular heart disease . ( Harrison's principle of internal medicine,18th edition,pg no.2232 )